For Karyotype analysis of stillborns, recommended tissue sample is all except
1. Umbilical cord segment about 1.5 cm long
2. Fetal patella
3. Placental block taken below cord insertion
4. Fetal skin

Correct answer: 4. Fetal skin

Explanation: Skin of Fetus is not recommended as tissue sample for karyotyping.